Treatment of dacryocystitis in three months old child -
1. Daily probing
2. Weekly probing
3. Massaging
4. Syringing

Correct answer: 3. Massaging

Explanation: Massage over the lacrimal sac area and topical antibiotics constitute the main treatment for congenital NLD block. Ref : ak khurana 6th edition pg no393